Functions of plasmin are all except-
1. Fibrinolysis
2. Activation of collagenase
3. Destruction of VWF
4. Stabilization of fibrin

Correct answer: 4. Stabilization of fibrin

Explanation: Ans. is 'd' i.e., Stabilization of fibrin * Plasmin is a proteolytic enzyme which belongs to serine protease family.* Its function are:-i) Fibrinolysis by break down of fibrin - It is the major function.ii) Activation of Collagenaseiii) Break down of matrix proteins (fibrin, fibronectin, thrombospondin, laminin) and von Willebrand factor.* These effects are responsible for role of plasmin in embryogenesis, wound healing, angiogenesis and tumor growth & dissemination.* Plasmin released as zymogen (inactive) form, i.e. plasminogen from liver. In circulation, plasminogen is converted into active plasmin by tissue plasminogen activator (tPA), urokinase plasminogen activator (uPA), Kallikrein and Hageman factor (factor XII).